Massive edema in body in a patients of burns is due to
1. Cardiac dysfunction due to release of cardiac depressants
2. Basement membrane injury causing altered pressure gradient
3. Acute Renal failure
4. Fluid overload

Correct answer: 2. Basement membrane injury causing altered pressure gradient

Explanation: Massive edema in burns is due to altered pressure gradient because of injury to basement membrane.